Cavernous sinus thrombosis is due infection of
1. Pterygoid plexus
2. Submental space
3. Maxillary sinus
4. Submandibular space

Correct answer: 1. Pterygoid plexus

Explanation: Pterygoid plexus and the facial vein form the 2 major sources which carry the infections from the danger area of face to the cavernous sinus.